Amaurotic cat eye reflex is seen in
1. Cridu chat syndrome
2. Retinoblastoma
3. Trachoma
4. Retinitis pigmentosa

Correct answer: 2. Retinoblastoma

Explanation: Ans. (b) Retinoblastoma